Central artery of Retina is branch of
1. External carotid artery
2. Internal carotid artery
3. Ophthalmic artery
4. Basilar artery

Correct answer: 3. Ophthalmic artery

Explanation: Within the dural sheath, the ophthalmic artery gives off the central artery of the retina. after piercing the dura mater it gives off a large lacrimal branch that runs along the lateral wall of the orbit. the main artery runs towards the medial wall of the orbit giving off a number of branches. Notes: the central artery of retina is the only arterial supply to most of the nervous layer the retina of the eye.if this artery is blocked there is sudden blindness. Ref BDC volume 3;Sixth edition pg 209.